Erythropoietin is inhibited by
1. Estrogen
2. Progesterone
3. Thyroxine
4. Testosterone

Correct answer: 1. Estrogen

Explanation: Glycoprotein hormone that controls erythropoiesis, or red blood cell production. Estrogen inhibits the erythropoietin whereas testosterone stimuates production . Ref: Ganong's Review of Medical Physiology; 24th edition; page no: 709